Antidepressant which is a Presynaptic a-2 receptor blocker which enhance secretion of both norepinephrine and serotonine ?
1. Trazodone
2. Mirtazapine
3. Mianserine
4. Bupropion

Correct answer: 2. Mirtazapine

Explanation: Ans. is'b'i.e., Mirtazapine MirtazapineIt blocks alpha-2 auto-receptors (on NA neurons) and heteroreceptors ( on 5HT-neurons)